Which question would be most helpful in obtaining a nursing history from the mother of an infant with suspected intussusception?
1. Is your child eating normally?
2. How often has your child been vomiting?
3. What do your child’s stools look like?
4. When did your child last urinate?

Correct answer: 3. What do your child’s stools look like?

Explanation: Option C: Intussusception is known for producing “currant jelly” stools, due to inflammation and hemorrhage within the bowel.
Options A, B, D: Information about urination, feeding, and vomiting would not produce information relevant to intussusception.